A 24 years old (middle aged) female has flaccid bullae in the skin and persistent painful oral erosions (palatal & vestibular lesions in buccal mucosa). Histopathology shows intraepidermal acantholytic blister. The most likely diagnosis is
1. Bullous Pemphigoid.
2. Erythema multiforme
3. Pemphigus vulgaris.
4. Dermatitis herpetiformis.

Correct answer: 3. Pemphigus vulgaris.

Explanation: C i.e. Pemphigus vulgaris